If the patient shows tamper tantrum and you send the patient back without any treatment, this is known as:
1. Positive Reinforcer.
2. Negative Reinforcer.
3. Negative Reinforcement.
4. None.

Correct answer: 3. Negative Reinforcement.

Explanation: As the condition for the patient shows to escape from the situation.